Tuberculin test positive is dependent on -
1. Erythema
2. Nodule formation
3. Induration
4. Ulcerative change

Correct answer: 3. Induration